All of the following are Type A Bioterrorism agents except:-
1. Anthrax
2. Small pox
3. Psittacosis
4. Tularemia

Correct answer: 3. Psittacosis

Explanation: Bioterrorism Agents Type A - Most dangerous & easy to spread - Can cause panic & chaos. - Specialized health responses are needed Type B - Less dangerous & less easy to spread - Moderate morbidity and mortality - Require enhancement of diagnostic capacity Type C - new emerging infections - Potentially high morbidity & mortality - Can be engineered for mass dissemination Anthrax (M/C used) Small Pox (Most dangerous) Plague Botulism (Most lethal toxin) Tularemia VHFs like Ebola and Marburg virus Brucellosis Glanders Melioidosis Psittacosis Q fever Epidemic Typhus Cl. Perfringens Food safety threats Water safety threats Ricin toxin Staphylococcal toxin Hanta virus Nipah virus